Change in pitch of sound is produced by which muscle?
1. Post cricoarytenoids
2. Lateral cricoarytenoids
3. Cricothyroid
4. Vocalis

Correct answer: 3. Cricothyroid

Explanation: The muscle responsible for charge in pitch of voice is cricothyroid